All of the following are used for myoclonic seizures except :
1. Sodium valproate
2. Zonisamide
3. Carbamazepine
4. Topiramate

Correct answer: 3. Carbamazepine